Which of the following statements about recommended daily allowance is false -
1. The RDA is decided by a panel of experts and is based on scientific research
2. The RDA caters to the dietry requirement of all people
3. The RDA is often higher than the recommended minimum requirement
4. The RDA is based on the estimated average requirement (EAR)

Correct answer: 2. The RDA caters to the dietry requirement of all people

Explanation: Ans. is 'b' i.e., The RDA caters to the dietry requirement of all people The recommended daily allowance caters to the nutrient requirement of nearly all (hut not all) the individuals (9798%). The RDA does not apply to sick people and only applies to healthy individuals in a life stage and gender group. This is the single best answer of exclusion. amongst the options provided. 1.) The recommended daily allowance/ Intake is decided by a panel of experts and is certainly based on scientific data In India this panel usually consists of researchers from the Indian Council of Medical Research ( ICMR). In U.S. and Canada, experts are organized by the food and Nutrition board of the National Academy of Sciences. o The recommended daily allowance is the average daily dietry intake that is sufficient to meet the nutrient requirements of 97-98% of individuals (Nearly all, but not all) in a life stage and gender group. The recommended intake of nutrients does not apply to sick people (Park)) and only applies to healthy individuals. o The RDA is often higher than the recommended minimum requirement. The RDA is not the minimum requirement for healthy individuals. Rather, it is intentionally set to provide a margin of safety for most individuals. Infact for many individuals this level would be in excess of their needs (Park / Lippincott). o It is believed that this excessive consumption of nutrients is not injurious to health.